Other than keratoacanthoma, lesion which shows pseudoepitheliomatous hyperplasia:
1. Blastomycosis
2. Sporotrichosis
3. Chronic hyperplastic candidiasis
4. All of the above

Correct answer: 4. All of the above

Explanation: All these lesions shows pseudoepitheliomatous hyperplasia:

Keratoacanthoma
Granular cell tumor of tongue  
Papillary hyperplasia of tongue & palate 
Blastomycosis 
Sporotrichosis 
Chronic hyperplastic candidiasis 
Granuloma inguinale.